Ophthalmoplegia is:
1. Lack of eyeball movement
2. Lack of accommodation
3. Lack of blood supply to retina
4. Lack of vision

Correct answer: 1. Lack of eyeball movement

Explanation: Ophthalmoplegia
→ Lack of eyeball movement.
→ Due to involvement of III, IV, V (Ophthalmic division), VI cranial nerve.
→ VI cranial nerve is most commonly involved in ophthalmoplegia.